Which of the following causes the opening of the eustachian tube
1. Salpingopharyngeus
2. Levator veli palatini
3. Tensor veli palatini
4. None of the above

Correct answer: 3. Tensor veli palatini

Explanation: The medial fibres of tensor veli palatini are attached to the lateral lamina of the tube and when they contract they help to open the tube lumen. These fibres also called dilator tube muscles.